Treatment option for glaucoma includes all except-
1. Trabeculectomy
2. Trabeculotomy
3. Vitrectomy
4. Viscoanulostomy

Correct answer: 3. Vitrectomy

Explanation: Surgical removal of the vitreous is now not an infrequently performed procedure. TYPES 1. Anterior vitrectomy. It refers to removal of anterior part of the vitreous. 2. Core vitrectomy. It refers to removal of the central bulk of the vitreous. It is usually indicated in endophthalmitis. 3. Subtotal and total vitrectomy. In it almost whole of the vitreous is removed. TECHNIQUES Open-sky vitrectomy This technique is employed to perform only anterior vitrectomy. Indications  Vitreous loss during cataract extraction.  Aphakic keratoplasty.  Anterior chamber reconstruction after perforating trauma with vitreous loss.  Removal of subluxated and anteriorly dislocated lens. Closed vitrectomy (Pars plana vitrectomy) Pars plana approach is employed to perform core vitrectomy, subtotal and total vitrectomy. Indications  Endophthalmitis with vitreous abscess.  Vitreous haemorrhage.  Proliferative retinopathies such as those associated with diabetes, Eales' disease, retinopathy of prematurity and retinitis proliferans.  Complicated cases of retinal detachment such as those associated with giant retinal tears, retinal dialysis and massive vitreous traction.  Removal of intraocular foreign bodies.  Removal of dropped nucleus or intraocular lens from the vitreous cavity.  Persistent primary hyperplastic vitreous.  Vitreous membranes and bands. Ref.AK Khurana 4th edition page no 246